An irresistible desire to set fire is called
1. Pyromania
2. Dipsomania
3. Mutilomania
4. Nymphomania

Correct answer: 1. Pyromania

Explanation: Pyromania This is an irresistible desire to set fire. In the history, the Roman Emperor Nero had pyromania, he was playing mandolin after giving orders to set fire a part of Rome. Ref: FORENSIC MEDICINE AND TOXICOLOGY Dr PC IGNATIUS THIRD EDITION PAGE 360